True about A- delta fibers
1. Associated with slow pain
2. Associated with fast pain
3. Both
4. None

Correct answer: 2. Associated with fast pain

Explanation: A-delta fibers are associated with fast pain They are myelinated but conduction velocity is least among A fibers. Ref:Guyton and Hall textbook of medical physiology 12th edition,page number: 73